Which of the following statement is not true about etomidate:-
1. It is an intravenous anesthetic
2. Precipitates coronary insufficiency
3. Inhibits cortisol synthesis
4. Causes pain at site of injection

Correct answer: 2. Precipitates coronary insufficiency

Explanation: Etomidate is cardiovascular stable ETOMIDATE Etomidate is a carboxylated imidazole - containing anesthetic compound structurally unrelated to any other IV anesthetics. Aqueous solution of etomidate is unstable at physiologic pH and a formulated in a 0.2% solution with 35% prophylene glycol. IV injection causes pain on injection, veno irritation and hemolysis. CNS - Decreases CMRO2, CBF and ICP Cerebroprotective Decreases EEG activity EVS - Minimal cardiorespiratory depression even in the presence of cardiovascular and pulmonary disease. No histamine release. R.S - Respiratory depression Blunts hypoxic / hypercapnic drive Bronchodilator Hepatic / Renal - Side Effects 1. Adrenal cortex suppression Etomidate inhibits the activity of 11- B hydroxyl- lase, an enzyme necessary for the synthesis of cortisol, aldosterone, 17 - hydroxyl - progesterone and corticosterone. 2. Pain on injection 3. High incidence of postoperative nausea and vomiting 4. Myoclonic activity 5. Inhibit platelet function Uses:- Induction agent of choice for poor- ri9sk patients with cardiorespiratory disease.